In wardernburg syndrome, following are seen except
1. Widening of the eye ball
2. Short palpebral fissure
3. Interstitial keratitis
4. Heterochroma iritis

Correct answer: 3. Interstitial keratitis

Explanation: Interstitial keratitis is a feature of granulomatous inflammation like syphilis, leprosy, TB etc Refer khurana 6/e